Commonest benign tumor of liver is
1. Hamartoma
2. Hemangioma
3. Adenoma
4. Nodular focal hyperplasia

Correct answer: 2. Hemangioma

Explanation: Refer Robbins page no Pg 867